Which one of the following statement is true of undescended testis -
1. Usually descends spontaneously at puberty
2. Orchipexy to be done if no descent by puberty
3. Has a higher incidence of malignancy
4. Maintains normal sperm production

Correct answer: 3. Has a higher incidence of malignancy